Apple jelly nodule in Nasal septum
1. Syphilis
2. Leprosy
3. Lupus vulgaris
4. Wegener's Granulomatosis

Correct answer: 3. Lupus vulgaris